Induration of seminal vesicle is seen most often in
1. Tuberculosis
2. Gonorrhea
3. Syphilis
4. Lymphogranuloma venereum

Correct answer: 1. Tuberculosis

Explanation: Tuberculosis of genital tract should be considered in the presence of following situationsChronic cystitis that refuses to respond to adequate treatmentSterile pyuria, gross or microscopic hematuriaNon-tender enlarged epididymis with beaded or thickened vasChronic draining scrotal sinusInduration or nodulation of prostate and thickening of one or both seminal vesicle(Refer: Smith's Urology, 17th edition, pg no: 219-225)